Ridge of Passavant is found in:
1. Tensor palati
2. Levator palati
3. Superior constrictor
4. Inferior constrictor

Correct answer: 3. Superior constrictor

Explanation: Superior constrictor